A 14 year old female patient presents with a habit of lower lip sucking. Lip bumper was cemented onto the mandibular first molars. What is the anchorage value of this tooth?
1. 533
2. 450
3. 475
4. 500

Correct answer: 3. 475